Drug which inhibit protein synthesis are all of the following except:
1. Tetracycline
2. Chloramphenicol
3. Erythromycin
4. None

Correct answer: 4. None

Explanation: Ans. d noneDrugs which act by inhibiting protein synthesis:Aminoglycosides (streptomycin, amikacin, tobramycin, neomycin, etc.),SpectinomycinChloramphenicolClindamycinTetracycline (and minocycline, doxycycline, etc.)Erythromycin (and azithromycin)Fusidic acidLinezolidPenicillin/beta-lactamase antibiotics act by interfering with the synthesis of bacterial cell wall.